Not an essential fatty acid -
1. Linoieic acid
2. Linolenic acid
3. Oleic acid
4. Arachidonic acid

Correct answer: 3. Oleic acid

Explanation: Ans. is 'c' i.e., Oleic acid Essential fatty acids (EFAs)o EAFs are those that cannot be synthesized by humans,o They can be derived only from food.o Examples - Linoleic acid, Linolenic acid, arachidonic acid, Eichosa-pentaenoic acid.o The most important EFA is linoleic acid which serves as a basis for the production of other EFAs, i.e. linolenic acid and arachidonic acid.